Type of collagen present in the basement membranes?
1. Type I
2. Type II
3. Type III
4. Type IV

Correct answer: 4. Type IV

Explanation: Type IV cartilage is present in basement membranes Type Distribution I Non Cartilaginous connective tissues, including bone, tendon, skin II Cartilage, vitreous humor III Extensible connective tissues, including skin, lung, vascular system IV Basement membranes V Minor component in tissues containing collagen I VI Muscle and most connective tissues VII Dermal-epidermal junction VIII Endothelium and other tissues IX Tissues containing collagen II X Hypertrophic cartilage XI Tissues containing collagen II XII Tissues containing collagen I XIII Many tissues, including neuromuscular junctions and skin XIV Tissues containing collagen I XV Associated with collagens close to basement membranes in many tissues including in eye, muscle, microvessels XVI Many tissues XVII Epithelia, skin hemidesmosomes XVIII Associated with collagens close to basement membranes, close structural homolog of XV XIX Rare, basement membranes, rhabdomyosarcoma cells XX Many tissues, particularly corneal epithelium XXI Many tissues XXII Tissue junctions, including cartilage-synovial fluid, hair follicle-dermis XXIII Limited in tissues, mainly transmembrane and shed forms XXIV Developing cornea and bone XXV Brain XXVI Testis, ovary XXVII Embryonic cartilage and other developing tissues, cartilage in adults XXVIII Basement membrane around Schwann cells Reference: Harper; 30th edition; Page no: 628 Table no: 50-1